Histopathological finding of gluten hypersensitivity is?
1. Crypt hyperplasia
2. Increase in thickness of the mucosa
3. Distal intestine involvement
4. Villous hypertrophy

Correct answer: 1. Crypt hyperplasia

Explanation: Ans. is 'a' i.e., Crypt hyperplasia Histopathological findings of gluten sensitivity enteropathy* Villous atrophy and Crypt hyperplasia with decrease in villus: crypt ratio.* Loss of microvilli brush border.* Inflammatory cells are present in lamina propria : plasma cells, macrophages, lymphocytes, eosinophils and mast cells.* One of the characteristic feature is that overall mucosal thickness remains same (as villous atrophy is compensated by crypt hyperplasia).* Mainly proximal intestine is involved.